Linear  band of immunofluorescence (due to immunoglobulin deposition) along the dermo epidermal junction (Ribbon candy pattern) is seen in
1. Bullous pemphigoid
2. Dermatitis Herpetiformis
3. Phemphigus vulgaris
4. Lichen planus

Correct answer: 1. Bullous pemphigoid

Explanation: Bullous pemphigoid shows Linear band of immunofluorescence (due to immunoglobulin deposition) along the dermo epidermal junction (Ribbon candy pattern).